Acute dilatation of stomach is not managed by -
1. N/G tube aspiration
2. Stop oral feeds
3. Surgery
4. Fluid and electrolyte balance

Correct answer: 3. Surgery

Explanation: • This condition usually occurs in association with pyloroduodenal disorders or after surgery without nasogastric suction.
• The stomach, which may also be atonic, dilates enormously.
• Often the patient is also dehydrated and has electrolyte disturbances.
• Failure to treat this condition can result in a sudden massive vomit with aspiration into the lungs.
Treatment:
• Nasogastric suction with a large-bore tube, fluid replacement and treatment of the underlying condition.